A state of mutism and akinesis where patient is aware of his surroundings and somewhat alert is best described as:
1. Delirium
2. Stupor
3. Oneiroid state
4. Twilight state

Correct answer: 2. Stupor

Explanation: Answer- B. StuporStapor: (1) State of decreased reactivity, to stimuli and less somewhat awareness of one's surroundings; as a disturbance of consciousness, it indicates a condition of partial coma or semicoma. (2) In psychiatry, used synonymously with mutism and does not necessarily imply a disturbance of consciousness.